Renal part of inferior vana cava develops from?
1. Vitelline vein
2. Subcardinal vein
3. Supracardinal vein
4. Common cardinal vein

Correct answer: 2. Subcardinal vein